Most lethal complication of esophageal rupture is:
1. Dysphagia
2. Mediastinitis
3. Recurrent laryngeal nerve palsy
4. None of the above

Correct answer: 2. Mediastinitis

Explanation: Ans. B i.e. Mediastinitis